All are cellular adaptations except ?
1. Hypertrophy
2. Hyperplasia
3. Necrosis
4. Metaplasia

Correct answer: 3. Necrosis

Explanation: Ans. is 'c' i.e., Necrosis